Botulinum toxin acts on -
1. Synapse
2. Smooth muscle of intestine
3. Central nervous system
4. Sensory nerves

Correct answer: 1. Synapse

Explanation: Ans. is 'a' i.e., Synapseo Botulinum toxin affectsNeuromuscular junction.Postganglionic parasympathetic nerve endings.Peripheral ganglia.o Central nervous system is not involved and there is no sensory involvement.o Botulinum toxin acts by inhibiting the calcium mediated exocytosis of ACh from the vesicles in the synapse.